Gingival sulcus is V shaped and it barely permits the entrance of a
1. Periodontal hoe
2. Periodontal curette
3. Periodontal probe
4. Periodontal sickle

Correct answer: 3. Periodontal probe